The following statement about pilonidal sinus is true:
1. More common in females
2. Mostly congenital
3. Prognosis after surgery is poor
4. Treatment of choice is surgical excision of sinus tract

Correct answer: 4. Treatment of choice is surgical excision of sinus tract

Explanation: Ans. (d) Treatment of choice is surgical excision of sinus tract* MC in males* Acquired due to entry of hair follicles into skin.* Prognosis is good after surgery* Recurrence is common but there are surgeries for recurrent Jeeper's bottom like - Limberg's flap and Bascom technique